Fish eye disease is a genetic disorder charecterised by which of the following?
1. Classic form of LCAT deficiency
2. Partial LCAT deficiency
3. Tangier disease
4. Familial hyperalphalipoproteinemia

Correct answer: 2. Partial LCAT deficiency

Explanation: Two genetic forms of LCAT deficiency have been described in humans: complete deficiency (also called classic LCAT deficiency) and partial deficiency also known as fish-eye disease. Ref: Harrisons Principles of Internal Medicine, 18th Edition, Page 3154.